An influenza is treated by-
1. Amantadine
2. Ribavarin
3. Interferon
4. Oseltamivir

Correct answer: 4. Oseltamivir

Explanation: Ans. is 'd' i.e., Oseltamivir o An influenza or bird flu is a contagious disease of animal caused by viruses that normally infect only birds and less commonly pigs. o On rare occaions, an influenza viruses cross the species barrier to infect humans. o Two drugs are commonly used for an influenza :- i) Oseltamivir, ii) Zonamivir o Both of these are neuraminidase inhibitors.